Which of the following is an example of post-translational modification?
1. Glutamate to Glutamine
2. Proline to Hydroxyproline
3. Aspartate to Asparagine
4. Leucine to Isoleucine

Correct answer: 2. Proline to Hydroxyproline

Explanation: Proline has its own codons, hydroxy proline does not have. hydroxyproline is formed from proline by post-translational modification. Glutamate to glutamine is mutation, not post-translational modification. The same is true for option c and d.